What is the function of a template during procedure of tooth extraction and insertion of immediate denture?
1. Trimming the jagged edge of bone
2. Conditioning the tissues
3. To promote healing of socket
4. To take impression of the edentulous space

Correct answer: 1. Trimming the jagged edge of bone

Explanation: Surgical Template

It is a thin, transparent form duplicating the tissue surface of an immediate denture and used as a guide for surgically shaping the alveolar process.
It can be used as a guide used to assist in proper surgical placement and angulation of dental implants.